The commonest anatomical position of the appendix is-
1. Retrocaecal
2. Pelvic
3. Paracaecal
4. Preileal

Correct answer: 1. Retrocaecal

Explanation: The most common position of the appendix is retrocaecal (12 O'clock).